In addition to neurofibromatosis, what other examination finding would you expect for this patient?
1. Aortic regurgitation
2. Chvostek sign
3. Lisch nodules
4. Thyroid bruit

Correct answer: 3. Lisch nodules

Explanation: Answer C. Lisch nodulesThere is hypertrophy of the right lower extremity and an irregular peduncular mass with overlying hyperpigmentation and hypertrichosis involving the right trunk, right buttock, and right leg. Histopathological examination was consistent with a soft-tissue neurofibroma. Lisch nodules were seen on ophthalmologic examination, and neurofibromatosis type 1 was diagnosed.